Which of the following is a contraindication for pulp
capping and pulpotomy:
1. Accidental exposure in a vital tooth
2. If there is inflammation of the radicular pulp and pain
3. Greatly curved and tortuous roots
4. None of the above

Correct answer: 2. If there is inflammation of the radicular pulp and pain